Which of following is hypertonic?
1. 5%dextrose
2. 0.45% normal saline
3. 0.9%normal saline
4. 3% normal saline

Correct answer: 4. 3% normal saline

Explanation: ANSWER: (D) 3% normal salineREF: Fluids & electrolytes by By Lippincott Williams & Wilkins page 264IsotonicHypertonicHypotonicDextrose 5% in water5% dextrose in half normal saline0.45% normal saline0.9% normal saline (NaCl)5% dextrose in normal saline Ringer lactateDextrose 10% in water